In reproductive and child health programme, districts are divided on the basis of -
1. Crude birth rate & infant mortality rate
2. Crude birth rate & female literacy rate
3. Crude death rate & crude birth rate
4. Couple protection rate & infant mortality rate

Correct answer: 2. Crude birth rate & female literacy rate

Explanation: On the basis of crude birth rate and female literacy rate, all the districts were decided into three categories. Category A(58),category B(184), category C having 256 districts. Reference:Park's textbook of preventive and social medicine,K.Park,23rd edition,page no:452